Which of the following regimen of antenatal steroids is preferred for Fetal lung maturation?
1. Dexamethasone 6mg 12 hourly 4 doses
2. Betamethasone 6mg 12 hourly 4 doses
3. Betamethasone 12 mg 12 hourly 4 doses
4. Dexamethasone 12mg 12 hourly 4 doses

Correct answer: 1. Dexamethasone 6mg 12 hourly 4 doses

Explanation: Antenatal steroids are given to prevent respiratory distress syndrome in case of preterm labour.
Recommended regimens are :
Dexamethasone 6mg 12 hourly 4 doses
Betamethasone 12mg 24 hourly 2 doses